Which of these hormones peaks in the 1st trimester of pregnancy?
1. Estrogen
2. Relaxin
3. Progesterone
4. Prolactin

Correct answer: 2. Relaxin

Explanation: (B) Relaxin